Which of the following is not targeted in Millennium Development Goals (MDGs)?
1. Eradicating extreme poverty
2. Fostering global partnership for development
3. Reducing child mortality
4. Improving health care delivery

Correct answer: 4. Improving health care delivery

Explanation: Ans. is 'd i.e., Improving health care delivery